Window period for HIV infection is
1. 3-12 weeks
2. 8-20 weeks
3. 6-24 weeks
4. None

Correct answer: 1. 3-12 weeks